Characteristic of type-II respiratory failure is:
1. Low PaO2 and low PaCO2
2. Low PaO2 and normal PaCO2
3. Normal PaO2 and high PaCO2
4. Low PaO2 and high PaCO2

Correct answer: 4. Low PaO2 and high PaCO2

Explanation: Ans. D: Low PaO2 and high PaCO2Type II Respiratory Failure (Ventilatory Failure: Arterial Hypercapnia): Partial pressure of CO2 in the arterial blood reflects the efficiency of ventilatory mechanism that clears (washes out) CO2 produced during tissue metabolism. Type II failure can be caused by any disorder that decreases central respiratory drive, interferes with the transmission of signals from the central nervous system, or impedes the ability of respiratory muscles to expand the lungs and chest wall.Type II failure is characterized by an abnormal increase in the partial pressure of CO2 in the arterial blood (PaCO2 > 46 mm Hg), and is accompanied by simultaneous fall in PAO2 and Pa02, therefore PAO2 - Pa02 difference remains unchanged.